Most common indication for liver transplant in children-
1. Biliary atresia
2. Cirrhosis
3. Hepatitis
4. Drug reactions

Correct answer: 1. Biliary atresia

Explanation: Answer- A (Biliary atresia)Explanation-Indications for liver transplantation in infants and children include acute liver failure (ALF), chronic liver failure with pruritus, complications of cholestasis and failure to thrive. In young children, the most common liver disease leading to transplantation is biliary atresia